Surface marking of the mitral valve is
1. Behind sternal end of left 4th costal cartilage
2. Behind sternal end of right 4th costal cartilage
3. Left 4th intercostal space in the midclavicular line
4. Left 3rd intercostal space in the midclavicular line

Correct answer: 1. Behind sternal end of left 4th costal cartilage

Explanation: Surface marking of mitral value is an oblique line 3 cm behind the left half of sternum opposite left 4th coastal cartilage. BD CHAURASIA'S HUMAN ANATOMY.VOLUME 1.6TH EDITION.PAGE NO 291.TABLE 21.1:SURAFACE MARKING OF CARDIAC VALVE